Allergic hypersensitivity is mediated by ?
1. IgM
2. IgG
3. IgD
4. IgE

Correct answer: 4. IgE

Explanation: Ans. is 'd' i.e., IgE